Etiology of disordered coagulation in antiphospholipid syndrome is
1. Hyper coagulation
2. Slow blood flow
3. Thrombocytosis
4. Vitamin K inobsorption

Correct answer: 1. Hyper coagulation